Best forensic sample for DNA analysis is:
1. Blood in EDTA
2. Hair
3. Vitreous humor
4. Femur bone

Correct answer: 1. Blood in EDTA

Explanation: Ans. Blood in EDTA